Estrogen administration in a menopausal woman increases the:
1. Gonadotropin secretion
2. LDL cholesterol
3. Bone mass
4. Muscle mass

Correct answer: 3. Bone mass

Explanation: Estrogen increases osteoblastic activity. Ref : Dutta book of obstetrics 8th Ed